All of the following are non bone graft material except:
1. Sclera
2. Cartilage
3. Calcium phosphate biomaterial
4. Bio oss

Correct answer: 4. Bio oss